All are true regarding emphysema finding in X-Ray except:
1. Low flat diaphragm - Tarrace pattern
2. Tubular heart
3. Decreased inter costal space
4. Increased radiolucence

Correct answer: 3. Decreased inter costal space

Explanation: C i.e. Decreased intercostals space In emphysema, intercostals space is increased (not decreased)Q